Neonatal fat necrosis (subcutaneous fat necrosis of newborn) resembles:
1. Erythema induratum
2. Post-steroidal panniculitis
3. Lupus panniculitis
4. Lipodermatosclerosis

Correct answer: 2. Post-steroidal panniculitis

Explanation: B i.e. Post-steroidal panniculitis Histology of poststeroid panniculitis is very similar to that of sub-cutaneous fat necrosis of newborn, in that needle shaped crystals may be found within lipocytes & histiocytes. Subcutaneous fat necrosis of newborn occurs in infants treated acutely with high doses of systemic steroids during withdrawl. It is inflammatory process involving areas of abundant sub cutaneous fat (discrete nodules) with good prognosis. The steroid reinstituted & tapered slowly. Scleroma neonatorum is non inflammatory, rapidly progressive, diffuse, non tender hardening of subcutaneous tissue seen in sick infants with recurrent or persistent hypothermia. It has poor prognosis.